In a 3 month fetus, characteristic feature seen is:
1. Nails are visible
2. Limbs well formed
3. Anus is seen as dark spot
4. Meconium is found in duodenum

Correct answer: 1. Nails are visible

Explanation: Ans. Nails are visible